Gaisbock syndrome is known as-
1. Primary familial polycytemia
2. High altitude Erythrocytosis
3. Spurious Polycythemia
4. Polycythemia vera

Correct answer: 3. Spurious Polycythemia

Explanation: Ans. is 'c' i.e., Spurious Polycythemia o Gaisbock syndrome refers to spurious polycythemia or relative erythrocytosis due to decreased plasma volume.